Amastigote form is seen in-
1. Leishmania
2. Plasmodium
3. Babesia
4. Ascaris

Correct answer: 1. Leishmania

Explanation: Ans. is 'a' i.e., Leishmania o Leshmania are hemoflagellates which occur in two formsAmastigote (aflagellar stage) : It occurs in RE system (reticuloendothelial system) of vertebrates (Man, dog).Promastigote (flagellar stage) : It is infective farm and occurs in gut of sandfly or in artificial cultures,o Promastigote form is transmitted by sandfly (vector is female sand fly).Types of LeishmaniasisCausative agentVector (sandflies)o Visceral leishmaniasis (Kala-azar)Leishmania donovaniPhlebotomus argentipeso Cutaneous leishmaniasis Phtebotomus papatasi & phlebotomus sergentii) Oriental soreii) Muco-cutaneous leishmaniasisLeishmania tropicaLeishmania braziliensis